A daily water supply considered adequate to meet the need for all urban domestic purposes is
1. 10 litres per capita
2. 20 litres per capita
3. 40-60 litres per capita
4. 150-200 litres per capita

Correct answer: 4. 150-200 litres per capita